Lobe of civilization
1. Frontal lobe
2. Parietal
3. Temporal
4. Occipital

Correct answer: 1. Frontal lobe

Explanation: (A) Frontal lobe